Wood worker's associated sinus Ca is:
1. Adeno Ca
2. Sq cell Ca
3. Anaplastic Ca
4. Melanoma

Correct answer: 1. Adeno Ca

Explanation: Ans: A (Adeno Ca) "Workers of furniture industry develop Adenocarcinoma of the Ethmoids and upper nasal cavityQ-while those engaged in Nickel refining get squamos cell and anaplastic carcinomaQ- Dhingra 5th/219